35yrs male reported to health clinic with fever and difficulty in urination associated with pain in groin. On digital rectal examination extreme tenderness is felt on anterior aspect. Lab. Examination of urine revealed leucocytosis and findings consistent with bacterial infection. What should be the most likely diagnosis for this condition?
1. Prostatitis
2. Pyelonephritis
3. Urinary tract infection
4. Benign prostatic hyperplasia

Correct answer: 1. Prostatitis

Explanation: Signs and symptoms of pt. are consistent with Acute Prostatitis. As the prostate is extremely tender, digital rectal examination should be done gently and also to prevent release of bacterias into bloodstream Pyelonephritis and nephrolithiasis are not associated with pain in perineum BPH although may present with same symptoms like urgency, frequency but there is association of pain or fever.